A 56 year old chronic smoker, mass in bronchus resected. What is the possible marker-
1. Cytokeratin
2. Vimentin
3. Epithelial membrane Cadherin
4. Leukocyte

Correct answer: 1. Cytokeratin

Explanation: Ref:Harrison's principle of internal medicine ,18 th edition, page no. 739 The diagnosis of lung cancer most often rests on the morphologic or cytologic features correlated with clinical and radiologic findings. Immunohistochemistry may be used to verify neuroendocrine differentiation within a tumour, with markers such as neuron specific enolase (NSE),CD56 or neural cell adhesion molecule (NCAM), synaptophysin, chromograin, and Leu7.Cytokeratin 7 and 20 used in combination can help narrow the differential diagnosis; Non-Small Cell Lung Cancer , Small Cell Lung and mesothelioma may stain positive CK7and negative for CK20, while squamous cell lung cancer will be both CK7 and CK20 negative. mesotelioma can be easily identified ultrastructurally, but it has historically been difficult to differentiate from adenocarcinoma through morphology and immunohistochemical staining. several markers in the past few years have proven to be more helpful, including CK5/6,calretin, and wilms' tumour gene 1(WT-1), all of which show positivity in mesothelioma.